Hyperpigmentation of palms & soles is seen in which poisoning
1. Arsenic
2. Mercury
3. Lead
4. Copper

Correct answer: 1. Arsenic

Explanation: A i.e. Arsenic